A young female presented with vaginal discharge. Endocervical biopsy revealed chlamydial antigen. Treatment given should be
1. Doxycycline + metronidazole
2. Azithromycin + contact tracing
3. Fluconazole + Azithromycin
4. Ampicillin + Probenecid

Correct answer: 2. Azithromycin + contact tracing

Explanation: Treatment of Chlamydial infection: Azithromycin 1 g orally as a single doseor Doxycycline (100 mg bid for 7 days) Contact tracing, avoidance of sex or barrier contraceptive is necessary to avoid recurrence. Note: out of the given options, both azithromycin and doxycycline (not metronidazole) can be used for treatment of chlamydia, however since contact tracing is equally important, option 2 is preferred. Chlamydia infection :most common cause of tubal block in India